Abortion stick used in criminal abortion causes abortion by the mechanism of -
1. Uterine contraction
2. Stimulation of uterine nerves
3. Uterine infection & necrosis
4. Placental separation

Correct answer: 1. Uterine contraction

Explanation: Abortion stick used in criminal abortion causes abortion by uterine contraction.